Indications of surgery in Varicocele is/are:
1. Small testis
2. Pain
3. Oligospermia
4. All

Correct answer: 4. All

Explanation: Ans is a (Small testis), b (Pain), c (Oligospermia)